What is wrong for Game keeper's thumb?
1. 1st metacarpophalangeal joint involvement
2. Tear of ulnar collateral ligament
3. Forced Ulnar deviation is the cause
4. Also called skier's thumb

Correct answer: 3. Forced Ulnar deviation is the cause

Explanation: Game keeper's thumb: Also called skier's thumb MC injury of 1st MCP joint Ulnar collateral ligament tear due to forced radial deviation